In which of the following case police inquest is not do ne-
1. Dowry death
2. Suicide
3. Death by accident
4. Death by animals

Correct answer: 1. Dowry death

Explanation: Ans. is 'a' i.e., Dowry death o In dowry death, magistrate's inquest is conducted.Inquesto An inquest is an inquiry' or investigation into the cause of death,o Two types of inquests are held in India -Police InquestThe officer-in-charge (usually sub-inspector) of a police station conducts the inquest (Sec. 174, CrPC).The police officer making the inquest is known as Investigating officer (IO).Police inquest is done in -Death by suicide.Death due killing by another person or an animal or machineiy.Death by accident.Death under circumstances raising a reasonable suspicion that some other person has committed an offence.Magistrate's Inquest (Sec. 176, CrPC)It is conducted by DM, SDM, executive magistrate (first class magistrate), empowered by the state government, such as deputy collector or tehsildar.It is done in cases of -Death in prison.Death in police custody while under police interrogation,Death due to police firing.Dowry death (Sec. 304 B, IPC)ExhumationCoroner's Inquest: It is a type of inquest done in UK, some states in USA and some othercountries, but not in India. Coroner conducts inquest in all unnatural and suspicious deaths.